Perception of a non-noxious stimulus as pain is termed as
1. Allodynia
2. Dysodynia
3. Hyperalgesia
4. Hyperesthesia

Correct answer: 1. Allodynia

Explanation: (A) Allodynia # Allodynia is a non-painful stimulus, once perceived, is experienced as painful, and even excruciating.> Hyperalgesia denotes severe pain in response to a mildly noxious stimulus.> Hyperesthesia means pain in response to touch.> Hyperesthesia/hypoasthesia is increase/decrease respectively incutaneous sensations to a specific type of testing, such as pressure, light touch, and warm or cold stimuli.> Paresthesia refer to tingling or pins and needles sensation or abnormal sensation perceived without an apparent stimuli.# Dysesthesia: All types of abnormal sensations even painful or whether a stimulus is evident or not.# Hypoesthesia: Reduced pain perception.> Hyperpathia: Broad term, encompasses all the phenomenon' described by hyperthermia, allodynia, and hyperalgesia.